A woman with the history of 2 pregnancies, her gravidity is
1. G0
2. G1
3. G2
4. G3

Correct answer: 3. G2

Explanation: Gravida: a woman who currently is pregnant or has been in the past, irrespective of the pregnancy outcome.With the establishment of the first pregnancy, she becomes a primigravida, and with successive pregnancies, a multigravida.Reference: William's obstetrics; 25th edition